False about kernicterus is _______
1. No long term effect
2. Occurs with bilirubin more than 25 mg %
3. Deposition in basal ganglion
4. Opisthotonus

Correct answer: 1. No long term effect

Explanation: When blood level of bilirubin is more than 20 mg/dl the capacity of albumin to bind bilirubin is exceeded.in young children before the age of i year, the blood brain barrier is not fully developed and therefore free bilirubin enters the brain .It is deposited in basal ganglia,leading to intellectual disability,fits,encephalitis and spasticity. Ref : TEXTBOOK OF BIOCHEMISTRY,D.M.VASUDEVAN,PG NO:252,6th edition